Screening test for sclerodema
1. Anti-nuclear antibody
2. Ul-Ribonucleoprotein antibody
3. Anti- L.K.M. antibody
4. Anti- topoisomerase antibody

Correct answer: 1. Anti-nuclear antibody

Explanation: Answer- A. Anti-nuclear antibodyANA is the screening method of choice for systemic rheumatic disease such as systemic lupus erythyematous (SLE), mixed connective tissue disease, Sjogren syndrome, scleroderma, CREST syndrome, rheumatoid arthritis, polymyositis, dermatomyositis.